Highest pickup for gastro juejunocolic fistula is by ?
1. Ba swallow
2. Ba meal
3. Ba enema
4. Ba follow through

Correct answer: 3. Ba enema

Explanation: Ans. is 'c' i.e., Ba enema